Components of 60 S subunit of ribosome are
1. 5.8 S
2. 23 S
3. 16 S
4. 18 S

Correct answer: 1. 5.8 S

Explanation: The mammalian ribosome has a sedimentation consisting of 80s unitIt has larger 60s subunit and another smaller 40s subunit The larger ribosomal subunit has 28s, 5.8S, and 5S rRNA And small subunit has only 18SrRNA